Cysteine is synthesized from -
1. Methionine
2. Arginine
3. Histidine
4. Lysine

Correct answer: 1. Methionine

Explanation: Ans. is 'a' i.e., Methionine o The question is very simple.o One sulfur containing amino acid can be synthesized from other sulfur containing amino acid only,o Methionine and cysteine are sulfur containing amino acid.